40 years old female with a 2 cms nodule in the breast & a proved metastatic node in the axilla, treatment is-
1. Quadrantectomy
2. Mastectomy with local radiotherapy
3. Patey's with adjuvant chemotherapy
4. Halstedt's operation with tamoxifen

Correct answer: 3. Patey's with adjuvant chemotherapy